True statement regarding Sarcoma Botryoides is all except :
1. Involvement of vagina
2. Grape like growth seen
3. Common in old age
4. Malignant

Correct answer: 3. Common in old age

Explanation: Sarcoma Botryoides Rare tumor in children Arises from the mesenchymal tissues of the vagina Presents as hemorrhagic grapes like mass or polyps Highly malignant Reference : Shaw's textbook of Gynaecology; 16th edition; Pg no: 483